A 74 yr old male patient was brought to the OPD by his daughter complaining of urinary incontinence and ataxia, also he has difficulty in calculating simple arithemetics and memory loss. What is the probable diagnosis
1. Normal pressure hydrocephalus
2. Vascular dementia
3. VIT B12 dofficiency
4. Tabes dorsalis

Correct answer: 1. Normal pressure hydrocephalus

Explanation: CLINICAL FEATURES IN NORMAL PRESSURE HYDROCEPHALUS Difficulty walking. This problem can be mild or severe. ... Dementia. This often involves confusion, short-term memory loss/forgetfulness, trouble paying attention, changes in mood, and a lack of interest in daily activities. Problems with bladder control. REF : HARRISONS 21ST ED